Macrosomia is/are associated with:a) Gestational diabetes mellitusb) Maternal obesityc) Hypothyroidism d) Hyperbilirubinemia e) Fetal goitre
1. ac
2. a
3. ad
4. ab

Correct answer: 4. ab

Explanation: The recommended definition is fetal (neonatal) weight exceeding two standard deviations or above 90th centile for the appropriate normal population.
According to ACOG: birth weight of > 4500 gm is called as macrosomia.
In Indian context birth weight of > 4000 gm is called as macrosomia.